Which of the following is coding RNA
1. sn RNA
2. mRNA
3. Both sn RNA and mRNA
4. mi RNA

Correct answer: 2. mRNA

Explanation: rRNA, Lnc RNA, sn RNA, mi RNA, tRNA are all non coding RNA.
Only mRNA is coding RNA.